In case of normal curve, the limits mean +/- 2SD cover:
1. 66%
2. 78%
3. 95%
4. 99%

Correct answer: 3. 95%

Explanation: In case of normal curve, the limits mean +/- 2SD cover 95% of subjects, while mean +/- 3 SD covers 99.7% subjects. Ref: Medical biostatistics, 1st edition pg: 180